Cyanide is toxic because it -
1. Inhibits cytochrome oxidase
2. Forms cyan meth Hb
3. Inhibits ATP carrier in mitochondria
4. Inhibits Na-K-ATP ase

Correct answer: 1. Inhibits cytochrome oxidase

Explanation: A i.e. Inhibits Cytochrome oxidase